Spermin in semen is detected by?
1. Barberiotest
2. Florence
3. ELISA
4. Agglutination inhibition

Correct answer: 1. Barberiotest

Explanation: Ans. is 'a' i.e., Barberio test Microchemical tests for seminal stain analysis:A) Barberio's test - Yellow coloured crystals of spermin picrate.B) Florence test - Brown crystals of choline periodide.